Pemphigus is characterized by:
1. Acanthosis
2. Acantholysis
3. Hyperorthokeratosis
4. Hyperparakeratosis

Correct answer: 2. Acantholysis

Explanation: In pemphigus there is formation of vesicle or bulla intraepithelially, just above the basal layer producing the distinctive suprabasilar split. The intercellular bridges in supra basal. layers disappear due to edema resulting in acantholysis. Because of this, clumps of degenerating epithelial cells are found in the vesicular space, which are known as Tzanck cells.